Which is Vitamin K dependent clotting factor?
1. Factor VII
2. Factor I
3. Factor XI
4. Factor XII

Correct answer: 1. Factor VII

Explanation: Ans is 'a' i.e. Factor VII Vitamin K serves as an essential cofactor for an enzyme carboxylase that catalyzes carboxylation of glutamic acid residues on vitamin K-dependent proteins. The key vitamin K-dependent proteins include:Coagulation proteins: factors II (prothrombin), VII, IX and XAnticoagulation proteins: proteins C, S and ZOthers: bone proteins osteocalcin and matrix-Gla protein, and certain ribosomal proteinsThese proteins have in common the requirement to be post-translationally modified by carboxylation of glutamic acid residues (forming gamma-carboxyglutamic acid) in order to become biologically active.